The 'a' wave of jugular venous pulse is produced by-
1. Atrial relaxation
2. Atrial systole
3. Atrial diastole
4. Rapid venous filling

Correct answer: 2. Atrial systole